NEERI headquarter is situated at ?
1. Delhi
2. Cuttack
3. Calcutta
4. Nagpur

Correct answer: 4. Nagpur

Explanation: Ans. is 'd' i.e., Nagpur National Environmental Engineering Research Institute (NEERI) Headquarter is at Nagpur.